Calorigenic hormone is
1. Epinephrine
2. Nor-epinephrine
3. Thyroid hormones
4. All of the above

Correct answer: 4. All of the above

Explanation: Calorigenic hormones are hormones which producing or increasing production of heat or energy; increasing oxygen consumption.Epinephrin hormone secreted by the adrenal medulla that is released into the bloodstream in response to physical or mental stress, as from fear or injury. It initiates many bodily responses, including the stimulation of heart action and an increase in blood pressure, metabolic rate, and blood glucose concentration. Also called adrenaline.Norepinephrine hormone is secreted by the adrenal medulla and the nerve endings of the sympathetic nervous system and causes vasoconstriction and increase in heart rate, blood pressure, and the sugar level of the blood. Also called noradrenaline.Thyroid hormone, especially thyroxine or triiodothyronine, produced by the thyroid gland.Hormone produced by the thyroid glands to regulate metabolism by controlling the rate of oxidation in cells. Ref: Ganong's review of medical physiology,24th edition, page no:317